Sree chitra Tirunal institute (SCT) is under the ministry of-
1. Family welfare
2. Human resources and development
3. Science and technology
4. Government of India

Correct answer: 3. Science and technology